A baby is born to a HBsAg positive mother. Which of the following is required for prevention of mother to child transmission of hepatitis B?
1. HBIG with first dose of Hep B vaccine at birth followed by routine hep B vaccination
2. Hepatitis B vaccine at 0,1,6 months
3. HBIG and lamivudine prophylaxis
4. Hepatitis B vaccine and lamivudine prophylaxis

Correct answer: 1. HBIG with first dose of Hep B vaccine at birth followed by routine hep B vaccination

Explanation: A neonate born to a mother with HBsAg positive should be given HBIG along with first dose of hepatitis B vaccine followed by routine vaccination after 1 and 6 months.